Eyelid drooping inRt/are seen in:
1. Damage to edinger-westphal nucleus
2. Damage to motor part of facial nerve
3. Damage to sympathetic nerve supply
4. Damage to lacrimal nerve

Correct answer: 3. Damage to sympathetic nerve supply

Explanation: Ans. Damage to sympathetic nerve supply